Number of double bonds in arachidonic acid is
1. 1
2. 2
3. 3
4. 4

Correct answer: 4. 4

Explanation: Arachidonic acid (20C)D5,8,11,14-all Timnodonic acid